Moderate to high titres of anti-DNA and anti-Smith antibodies are almost pathognomonic of:
1. SLE
2. EM
3. Lichen planus
4. All of the above

Correct answer: 1. SLE

Explanation: Laboratory Findings
Antinuclear antibodies are frequently found in patients with SLE and can be used to indicate a systemic involvement, but patients with other rheumatologic diseases, such as Sjögren’s syndrome and rheumatoid arthritis, may be positive as well. Moderate to high titers of anti-DNA and anti-Smith antibodies are almost pathognomonic of SLE.